Plasmacytoid lymphomas may be associated with
1. IgG
2. IgM
3. IgA
4. IgE

Correct answer: 2. IgM

Explanation: Ans. is `b' i.e., IgM Plasmacytoid lymphoma Plasma cytoid lymphoma, also known as plasmacytoid lymphocyte type malignant lymphoma, is a B cell neoplasm that is associated with plasmacytoid differentiation of lymphocytes. Plasmacytoid lymphocytes are transitional forms between lymphocytes and plasma cells. o These are low grade lymphoid neoplasms that occur in middle aged or older individuals. o In REAL classification, it is classified as lymphoplasmacytic lymphoma. o These may be associated with a monoclonal IgM paraprotein and are thus considered the histological counterpart of Waldenstrom's macroglobulinemia.